All of the following genetic mutations are associated with an increased risk of deep venous thrombosis, EXCEPT:
1. Factor V Leiden mutation
2. Glycoprotein 1b platelet receptor
3. Heterozygous protein C deficiency
4. Prothrombin 20210G

Correct answer: 2. Glycoprotein 1b platelet receptor

Explanation: Affecting procoagulant or fibrinolytic pathways: The most common inherited risk factors for venous thrombosis are the factor V Leiden mutation and prothrombin 20210 mutation. Other mutations predisposing an individual to venous thrombosis include inherited deficiency of protein C or S and mutations of fibrinogen, tissue plasminogen activator, thrombomodulin, or plasminogen activator inhibitor. In contrast, arterial thrombosis occurs in the setting a platelet activation, and the genetic predisposition for arterial thrombosis includes mutations that affect platelet receptors or redox enzymes. The glycoprotein 1b platelet receptor mutation would increase the risk of arterial thrombosis. Ref: Goldhaber S.Z. (2012). Chapter 262. Deep Venous Thrombosis and Pulmonary Thromboembolism. In D.L. Longo, A.S. Fauci, D.L. Kasper, S.L. Hauser, J.L. Jameson, J. Loscalzo (Eds), Harrison's Principles of Internal Medicine, 18e.